Carcinoma of the tongue -
1. Occurs most commonly on the lateral border of the middle third of tongue
2. Metastasize readily to cervical lymph nodes
3. Is usually radiosensitive
4. All of the above

Correct answer: 4. All of the above

Explanation: Ans. is `d' i.e., All of the above